All of the following statements about Zenker's diverticulum are true, except
1. Acquired diverticulum
2. False Diverticulum
3. Lateral X-rays on barium swallow are often diagnostic
4. Out pouching of the anterior pharyngeal wall, occur just above the cricopharyngeus muscle

Correct answer: 4. Out pouching of the anterior pharyngeal wall, occur just above the cricopharyngeus muscle

Explanation: Zenkers diverticulum is an acquired, false, pulsion diverticulum that affects patients older than 50 years. It is an outpouching in the posterior pharyngeal wall immediately above upper esophageal sphincter. Ref: Schwartz's Principles of Surgery, 9th Edition, Chapter 25; Cardiothoracic Surgery In The Elderly By Mark R. Katlic, Page 564